All are seen in Rokitansky Hauser syndrome except :
1. Absent uterus
2. Anovulation
3. Absent vagina
4. 46 XX karyotype

Correct answer: 2. Anovulation

Explanation: Anovulation